All are the parts of the anterior segment of eye except
1. Lens
2. Cornea
3. Vitreous
4. Aqueous

Correct answer: 3. Vitreous

Explanation: Anterior segment of the eyeball: Cornea, Aqueous humor-filled chambers , Iris, Lens Posterior segment of the eyeball: Vitreous humor, Retina, Choroid, Optic disc ANTERIOR CHAMBER: Boundaries: Anteriorly - Posterior part of Cornea Posteriorly - Anterior part of the iris Volume: 0.25 ml of aqueous humor Depth: Normal adults - 2.5 mm at center Hypertropic - Shallower Myopic - Deeper POSTERIOR CHAMBER: Boundaries: Anteriorly - Posterior surface of iris and part of the ciliary body Posteriorly - Lens and Zonules Laterally - Ciliary body Volume : 0.06 ml Diagram of the human eye. The anterior segment of the eye contains the cornea, iris, ciliary body, and lens. The posterior segment of the eye consists of the vitreous humor, retina, choroid, and optic nerve. Reference: Khurana Ophthalmology; 4th Edition page 3-4